Which of the following statements regarding rapid cycling bipolar disorder is true?
1. Alcohol, stimulants, and caffeine use are risk factors.
2. Defined as at least four episodes per month.
3. Hospitalization is rare.
4. More common in men than women.

Correct answer: 1. Alcohol, stimulants, and caffeine use are risk factors.

Explanation: Ans. A. Alcohol, stimulants, and caffeine use are risk factorsAmong the factors favoring the occurrence of rapid cycling bipolar disorder are alcohol, stimulant, and caffeine use. Other factors include female gender because this subtype is much more common in women than men. Most antidepressants readily induce excited episodes and thus aggravate the rapid cycling pattern. Rapid cycling is defined as the occurrence of at least four episodes of depression and hypomania or mania per year (not per month). Hospitalization of these patients is often frequent to stabilize medication and achieve compliance.